Amotivational syndrome is seen with -
1. Cannabis
2. Cocaine
3. LSD
4. None

Correct answer: 1. Cannabis

Explanation: chronic cannabis poisoning causes amotivational syndrome -loss of age appropriate behaviors -lethargy -lack of interest in day to day activities REF;THE SYNOPSIS OF FORENSIC MEDICINE:KS NARAYANA REDDY;28th EDITION;PAGE NO 347